Fat embolism is commonly seen in
1. Head injury
2. Long bone fractures
3. Drowning
4. Hanging

Correct answer: 2. Long bone fractures

Explanation: Ref Robbins 8/126; 9/e p128